Fructose intolerance is due to deficiency of ?
1. Aldolase B
2. Fructokinase
3. Triokinase
4. Aldolase A

Correct answer: 1. Aldolase B